Papillary cystadenoma lymphomatosum is otherwise called:
1. Pleomorphic adenoma
2. Warthin's tumour
3. Mucoepidermoid carcinoma
4. Medullary carcinoma

Correct answer: 2. Warthin's tumour

Explanation: Ans: b (Warthin's tumour) Ref: Bailey & love, 23th ed,p. 1659;WARTHINS TUMOUR* It is the second most common benign tumour of the parotid gland. (1 st is pleomorphic adenoma)* It consists of both epithelial and lymphoid elements and is also known as adenolymphoma. (Probably arises from parotid tissue trapped in lymph nodes within parotid gland)* Also called papillary cystadenoma lymphomatosum .* Tumour arises only in parotid gland.* Almost always arises in lower portion of the parotid gland overlying the angle of mandible* Common in males.* Age - 5th to 7th decade.* Assosciation is seen with smoking.* Bilateral in 10 % cases.* Its well encapsulated, extremely slow growing tumour, never turns malignant.INVESTIGATIONPeculiar feature is that it shows a hot spot in 99m - Tc -pertechnate scan.*